Benign hyperplasia of postrate first develops in
1. Central zone
2. Peripheral zone
3. Periurethral transition zone
4. Any of the above

Correct answer: 3. Periurethral transition zone

Explanation: Refer Robbins page no 982